Agar impression material is obtained from
1. Seaweed
2. Fungi
3. Bacteria
4. Plants

Correct answer: 1. Seaweed

Explanation: Agar, a polysaccharide extracted from certain types of seaweed, is the main active ingredient in the material, while water is the major constituent in the agar impression material. A small percentage of borax is added to strengthen the gel. Since borax is a potent retarder for the setting of gypsum, an accelerator such as potassium sulfate is added to counteract the effect of borax.